Seatbelts reduces the risk of injury in front-seat occupants involved in a RTA by approximately
1. 25%
2. 45%
3. 75%
4. >90%

Correct answer: 2. 45%

Explanation: The use of seatbelts reduces the risk of death or serious injury for front-seat occupants by approximately 45 %. Although seatbelts reduce mortality overall, they can cause a specific pattern of internal injuries.Patients with seatbelt marks have been found to have a four-fold increase in thoracic trauma and an eight-fold increase in intraabdominal trauma compared with those without seatbelt marks